Intraepidermal intercellular IgG deposition is seen in
1. Pemphigus vulgaris
2. Bullous pemphigoid
3. Herpes genitalis
4. Not recalled

Correct answer: 1. Pemphigus vulgaris

Explanation: intraepidermal intercellular IgG deposits are seen in pemphigus vulgaris. pemphigus vulgaris is a autoimmune bullous disorder where auto antibodies are formed against intercellular adhesion molecule desmoglein 3. this causes seperation of keratinocytes from each other and intraepidermal blister formation. method to detect intraepidermal deposition of IgG- DIRECT IMMUNOFLORESCENCE of skin biopsy specimen - appears as fish-net pattern. in bullous pemphigoid there will be subepidermal bullae formation due to autoantibodies to basement membrane zone antigens-BPAg1(230kDa) and BPAg2(180kDa) proteins. there will be deposition of Ig G along the basement membrane zone in a linear pattern. herpes genitalis - grouped vesicles are formed due to lysis of keratinocytes due to cytopathic effect of HHV-2. but there is no deposition of immunoglobulins. IADVL textbook of dermatology, page 1087